A person has defective blue colour appreciation. His condition is better named as -
1. Deuteranomalous
2. Deuteranopia
3. Tritanopia
4. Tritanomalous

Correct answer: 4. Tritanomalous

Explanation: Anomaly : defective color perception Anopia : color perception absent Trit : blue Prot: red Deutr: green Ref:AK Khurana 4thE pg 303.